Tachypnea in a 4-month-old child is respiratory rate more than
1. 30/min
2. 40/min
3. 50/min
4. 60/min

Correct answer: 3. 50/min

Explanation: Ans, c (50/min). (Ref Nelson, 17th ed., 280) AgeHR (per min)BP (mm Hg)RR (per min)1Premature120-17055-75/35-4540-7020-3 months100-15065-85/45-5535-5533-6 months90-12070-90/50-6530-4546-12 months80-12080-100/55-6525-4051-3 years70-11090-105/55-7020-3063-6 years65-11095-110/60-7520-2576-12 years60-95100-120/60-7514-22812 years55-85110-135/65-8512-10